In solitary thyroid nodule true is/are :
1. THR-Ab
2. Lined by columnar epithelium
3. Diffuse hyperplasia of thyroid
4. Common in female

Correct answer: 4. Common in female

Explanation: Ans. is 'd' i.e. Common in female A solitary thyroid nodule is a palpably discrete swelling within an otherwise apparently normal thyroid gland. Certain imp. points about solitary thyroid nodules : STN are more common in women than in men The incidence of STN increases with age Solitary nodules, in general, are more likely to be neoplastic than are multiple nodules. Nodules in younger patients are more likely to be neoplastic than are those in older patients. Nodules in males are more likely to be neoplastic than are those in females. A history of radiation treatment to the head & neck region is associated with an increased incidence of thyroid malignancy. Functional nodules that take up radioactive iodine in imaging studies (hot nodules) are significantly more likely to be benign than malignant.